Dystrophic calcification is seen in:-
1. Rickets.
2. Hyperparathyroidism.
3. Atheromatous plaque.
4. Vitamin ‘A’ intoxication.

Correct answer: 3. Atheromatous plaque.

Explanation: Deposition of calcium in the tissues occurs in 2 forms.